All the following causes osteopenia Except
1. Rickets
2. Osteopetrosis
3. Osteomalacia
4. Osteonecrosis

Correct answer: 2. Osteopetrosis

Explanation: Ans: B (Osteopetrosis) Ref: Harrison s Principles of Internal Medicine, 18th ed & Nelson Textbook of PediatricsExplanation:OsteopeniaIt is a condition where bone mineral density is lower than normal.It is considered to be a precursor to osteoporosis.However, not every person diagnosed with osteopenia will develop osteoporosis.Technically, Osteopenia is defined as a bone mineral density T-score between -1.0 and -2.5.What is T-score?The T-score is the relevant measure when screening for osteoporosis.It is the bone mineral density (BMD. at the site when compared to the young normal reference mean.It is a comparison of a patient's BMD to that of a healthy thirty-year-old.The criteria of the World Health Organization are:Normal is a T-score of -1.0 or higherOsteopenia is defined as between -1.0 and -2.5Osteoporosis is defined as -2.5 or lower. meaning a bone density that is two and a half standard deviations below the mean of a thirty-year-old man/woman.Causes of OsteopeniaRicketsMetabolic hone diseaseOsteoporosis esp Postmenopausal womenOsteomalaciaRheumatoid arthritisAnkylosing spondylitisOsteomyelitisOsteonecrosisMultiple myelomaCoeliac disease